During normal conversation sound heard at 1meter distance is
1. 60 dB
2. 80 dB
3. 90 dB
4. 120 dB

Correct answer: 1. 60 dB

Explanation: At a distance of 1 m , intensity of Whisper - 30 dB Normal conversation - 60 dB Shout - 90 dB Discomfort of the ear - 120 dB Pain in the ear - 130 dB Ref: Dhingra 7e pg 21.